Aldosterone secretion is stimulated by which of the following?
1. Hyperkalemia
2. Dopamine
3. Somatostatin
4. Atrial Natri uretic peptide (ANP)

Correct answer: 1. Hyperkalemia

Explanation: Hyperkalemia stimulates aldosterone secretion and hypokalemia suppress aldosterone secretion. The serum potassium is an important independent regulator of plasma aldosterone levels (Independent of Renin and ACTH). Increased plasma K+ concentration causes direct stimulation of aldosterone by. Major Direct Stimulants for Aldosterone Secretion Angiotensin II (RAAS) (RAAS is the major regulator) Serum Potassium (Hyperkalemia stimulates and hypokalemia suppresses aldosterone secretion) ACTH (Acute) Factors Regulating Aldosterone secretion Factor Stimulatory Inhibitory Peptides Angiotensin ACTH Angiotensin III Vasopressin Endothelin Atrial natriuretic peptide Somatostatin Ions Plasma potassium Other Serotonin Dopamine Ref: Harrison 19th edition Pgno: 310